Plantar flexion is brought about by which of these muscles -
1. Plantaris
2. Tibialis posterior
3. Soleus
4. All the above

Correct answer: 4. All the above

Explanation: Plantar flexion is brought about muscles of calf Muscle of calf Nerve supply Function Gastrocnemius Tibial nerve Plantar flexion Soleus Plantar flexion Plantaris Functional importance is transplantation. Tibialis posterior Plantar flexion, inversion of foot Flexor digitorum longus Flexion of phalanges, plantar flexion Flexor hallucis longus Flexion of big toe, plantar flexion Popliteus Lateral rotation of femur on tibia prior to flexion